Which of the following is an example of Type E adverse drug reaction?
1. Withdrawal reaction
2. Teratogenesis
3. Augmented response
4. Toxicity

Correct answer: 1. Withdrawal reaction

Explanation: Adverse Drug Reactions are noxious or unintended effects produced by drugs. These may be classified as Type A: Augmented pharmacologic effects - Dose dependent and predictable e.g. hypoglycemia caused by anti-hyperglycemic drugs like sulfonylureas Type B: Bizarre effects (or idiosyncratic) - Dose independent and unpredictable e.g. allergic reactions caused by penicillins Type C: Chronic effects e.g. peptic ulcer caused by chronic use of NSAIDs Type D: Delayed effects e.g. teratogenicity caused by thalidomide Type E: End-of-treatment effects e.g. withdrawal response to morphine Type F: Failure of therapy